Cuspal angulation for semi anatomic teeth is
1. 18 degrees
2. 20 degrees
3. 22 degrees
4. 24 degrees

Correct answer: 2. 20 degrees

Explanation: 20 degrees is the cuspal angulation of semi anatomic teeth. It is wider to corresponding anatomic teeth.